Platysma is supplied by?
1. Cervical branch of facial nerve
2. Cervical branch of accessory nerve
3. Ansa cervicalis
4. Mandibular nerve

Correct answer: 1. Cervical branch of facial nerve